Keratomalacia (REPEATED question)
1. Occurs due to vitamin A deficiency
2. Relatively benign condition
3. First feature of vitamin A deficiency
4. Also seen in retinitis pigmentosa

Correct answer: 1. Occurs due to vitamin A deficiency

Explanation: Night blindness is a first feature of Vitamin A deficiency and is also a feature of retinitis pigmentosa Refer: Khurana 6th edition page number 468